The features of genetic coding are all, except:
1. Degeneracy
2. Universal
3. Overlapping of codons
4. Unambiguous

Correct answer: 3. Overlapping of codons

Explanation: Overlapping of codons